FNAC is useful in all the following types of thyroid carcinoma except
1. Papillary
2. Follicular
3. Anaplastic
4. Medullary

Correct answer: 2. Follicular

Explanation: Although FNAC is important in the workup of thyroid nodules, it is of limited value in the preoperative diagnosis of follicular thyroid cancer. Diagnosis of follicular thyroid cancer requires demonstration of cellular invasion of the capsule or vascular or lymphatic channels. These structural characteristics cannot be determined with FNAC. Source : Sabiston 20th edition Pg: 905